Chloroma is due to-
1. AML
2. CLL
3. ALL
4. Non Hodgkin's lymphoma

Correct answer: 1. AML

Explanation: Clinical features of AML

The clinical findings in AML are similar to those in ALL i.e., suppression of normal hematopoiesis in the marrow that results in -



Anemia   →  Fatigue, Pallor


Neutropenia → Infection, Fever


Thrombocytopenia → Spontaneous mucosal and cutaneous bleeding. This is the most striking clinical feature.


Others


Cells with multiple Auer rods are called "Faggot cells" are seen in M3 type of AML.


Tumor cells in acute promyelocytic leukemia (M3) release procoagulant and fibrinolytic factors that cause disseminated intravascular coagulation (DIC).


Monocytic differentiation type (M4 and M3) may present with infiltration of skin (leukemia cutis) and gingival hypertrophy.


Chloromas (granulocytic sarcomas or myeloblastomas) are localize masses composed of myeloblasts in the absence of marrow or peripheral blood involvement.


Lymphodenopathy, Hepatosplenomegaly, CNS involvement and testicular involvement are less common than AML.